True about estrogen production in menstural cycle?
1. Only by theca cells
2. Only by granulosa cells
3. Both theca and granulosa cells
4. None of the above

Correct answer: 3. Both theca and granulosa cells

Explanation: Ans. is 'c' i.e., Both theca and granulosa cells Ovarian follicle contains two types of cells in preovulatory phase :-i) Granulosa cells :- Secrete mainly estrogen and very minimal amount of progesterone.ii) Theca cells (interna & externa) Theca interna cells provide androgen and pregnenolone to granulosa cells to convert them into estrogen and progesterone respectively.After ovulation, corpus luteum contain two types of cell :-i) Granulosa luteal cells (formed by luteinization of granulosa cells) :- Produce mainly estrogen and minimal progesterone.ii) Theca luteal cells (formed by luteinization of theca interna cells) :- Produce mainly progesterone.